Pheochromocytoma with malignant potential exclusively secretes
1. Dopamine
2. Epinephrine
3. Metanephrine
4. Norepinephrine

Correct answer: 1. Dopamine